Large discrete ulcers in esophagus are seen in
1. Achalasia cardia
2. Plummer Vinson syndrome
3. Esophageal carcinoma
4. CMV esophagitis

Correct answer: 4. CMV esophagitis

Explanation: Oesophagitis including HIV and CMV oesophagitis usually manifest as one or more large ovoid or diamond-shaped ulcers.